If head of radius is removed, it ll lead to which deformity
1. Valgus deformity
2. Varus deformity
3. Flexion deformity
4. None of the above

Correct answer: 1. Valgus deformity